All the following are obligate anaerobes except?
1. Actinomycetes
2. Bacteriodes
3. Clostridium
4. Pseudomonas

Correct answer: 4. Pseudomonas

Explanation: Pseudomonas is obligate aerobe.